Atwoods classification Order IV corresponds to
1. Knife edged ridge
2. High well rounded
3. Low well rounded
4. Depressed

Correct answer: 1. Knife edged ridge